Each milliliter of red cells contains ....... mg of elemental iron:
1. 1 mg
2. 2 mg
3. 3 mg
4. 4 mg

Correct answer: 1. 1 mg

Explanation: Each milliliter of red cells contains 1 mg of elemental iron. Reference: Harrisons Principles of Internal Medicine, 18th Edition, Page 845